Primary amenorrhea with absent uterus, normal breasts and scanty pubic hair is seen in:
1. Mayer Rokitansky Kuster Hauser Syndrome
2. Turner Syndrome
3. Noonan Syndrome
4. Testicular feminizing syndrome

Correct answer: 4. Testicular feminizing syndrome

Explanation: Ans. is d, i.e. Testicular feminizing syndromeRef: Novak 14th/ed, p1037-1038The patient is presenting with primary amenorrhea along with well developed breast and scanty pubic hair and axillary hair -leave no doubt regarding Testicular feminizing syndrome as the diagnosis.